A 10 year old boy has a fracture of femur. Biochemical evaluation revealed Hb 11.5 gm/dL and ESR 18 mm 1st hr. Serum calcium 12.8 mg/dL, serum phosphorus 2.3 mg/dL, alkaline phosphate 28 KA units and blood urea 32 mg/dL. Which of the following is the most probable diagnosis in his case?
1. Nutritional rickets
2. Renal rickets
3. Hyperparathyroidism
4. Skeletal dysplasia

Correct answer: 3. Hyperparathyroidism

Explanation: The patient in question has an increased serum Ca++, decreased serum phosphorus and increased values of alkaline phosphatase, suggests hyperparathyroidism. Ref: Clinical Proceedings - Children's Hospital of The District of Columbia, Volume 14 ; Nutrition and Diagnosis-Related Care By Sylvia Escott-Stump - 2008, Page 193 ; Avery's Diseases of The Newborn BY H. William Taeusch, Roberta A. Ballard, Christine A. Gleason - 2005, Page 1359